In puerperium the lochia seen p/v is in which of the following sequences :
1. Lochia alba-Lochia serosa-Lochia rubra
2. Lochia serosa-Lochia rubra-Lochia alba
3. Lochia alba-Lochia rubra-Lochia serosa
4. Lochia rubra-Lochia serosa- Lochia alba

Correct answer: 4. Lochia rubra-Lochia serosa- Lochia alba

Explanation: Lochia rubra-Lochia serosa- Lochia alba